Average hospital waste produced per bed per day in Government hospital –
1. 1–5-2.0 kg
2. 0.5–4 kg
3. 0.5–1 kg
4. 0.5–2 kg

Correct answer: 2. 0.5–4 kg

Explanation: The solid wastes generated in hospital and nursing homes generally varies as follows :

1/2 to 4kg/bed/day - Govt. hospital
1/2 to 2kg/bed/day - Private hospital
1/2 to 1kg/bed/day - Nursing home.

Out of all these 45-50% of the wastes are infectious.